Two point discrimination test exhibits maximum sensitivity in?
1. Shin
2. Toes
3. Finger pads
4. Soles

Correct answer: 3. Finger pads

Explanation: Ans. (c) Finger padsRef: De Jong neurological examination, 7h ed/542* Two-point discrimination is the ability to discern that two nearby objects touching the skin are truly two distinct points, not one. It is often tested with two sharp points during a neurological examination and is assumed to reflect how finely innervated an area of skin is.* The maximum sensitivity for this test is in lips and finger tips which can be remembered as the most sensitive areas in the body.